A patient comes in stupor condition patient's parents give history of being continually sad and suicidal attempts not . eating and sleeping most of the time. The treatment is
1. ECT
2. Antidepressant
3. Antipsychotic
4. Sedatives

Correct answer: 1. ECT

Explanation: A i.e. ECT